Anterior nares is the most common site of colonization in carrier state of MRSA. What is the best treatment?
1. Topical mupirocin
2. Oral Vancomycin
3. Inhaled colistin
4. IV cefazolin

Correct answer: 1. Topical mupirocin

Explanation: Anterior nares are the MC site of colonization in the carrier state of MRSA. Mupirocin (2% topical cream) is DOC for MRSA carriers. Another drug that can be used is topical Bacitracin. Vancomycin is an intravenous DOC for treatment of severe infections caused by MRSA. Colistin (cell membrane inhibitor) is DOC for Superbug (bacteria mostly Klebsiella producing New Delhi Metallo-beta-lactamase). Cefazolin is first generation Cephalosporin.